Shagreen patch is a chart racteristic feature of -
1. Tuberous sclerosis
2. Neurofibromatosis
3. Sturge weber syndrome
4. Von Hippei-Lindau syndrome

Correct answer: 1. Tuberous sclerosis

Explanation: Ans. is 'a' i.e., Tuberous Sclerosiso Shagreen Patch (connective tissue naevi) are roughened raised leathery lesions with an orange peel consistency that are typically seen in patients with Tuberous Sclerosis.